Which is true about age and sex distribution of Schizophrenia?
1. Most common age is >50 years
2. Early onset is a good prognostic factor
3. Male sex is a poor prognostic factor
4. Males are prone for the disease

Correct answer: 3. Male sex is a poor prognostic factor

Explanation: Ans. is 'c' i.e., Male sex is a poor prognostic factor * The schizophrenia starts in late adolescent and early adult (15-25 years). Men and women have an equal lifetime risk for schizophrenia. However, schizophrenia tends to strike women 3-4 years later than men. Most men develop schizophrenia between 15 and 25 years of age. For women the period of maximum onset is between 15 and 30 with a smaller peak between 45 and 50 (after menopause).* Women tend to have milder forms of the disease in their younger year than their male counterparts.* Early age of onset (<20 years of age) & male sex are considered poor prognostic factors where as late age of onset (>35 years of age) 8c female sex are considered good prognostic factors.